Bleuler's symptoms of schizophrenia include all except:
1. Autism
2. Automatism
3. Affect disturbance
4. Loosening of association

Correct answer: 2. Automatism

Explanation: Bleuler proposed four symptoms of schizophrenia. which were called as fundamental (or primary) symptoms of schizophrenia. These symptoms are also known as 4 A's of Bleuler. They include: A. Autistic thinking and behaviour (Autism) B. Ambivalence C. Affect disturbances D. Association disturbances Automatisms are usually a feature of epilepsy. They are apparently meaningful behaviours, for which the patient doesn't have any memory later on. It is not seen in schizophrenia.